An 18-year-old male presented with acute onset a history of blurring of vision for the same duration on examination, the patient has quadriparesis with areflexia. Both the pupils are non-reactive.The most probable diagnosis is -
1. Poliomyelitis
2. Botulism
3. Diphtheria
4. Porphyria

Correct answer: 2. Botulism

Explanation: Ans. b. Botulism